The most common pathogens responsible for nosocomial pneumonia in ICU are
1. Gram positive organisms
2. Gram negative organisms
3. Mycoplasma
4. Virus

Correct answer: 2. Gram negative organisms

Explanation: Nosocomial pneumonia is caused by mainly Multi-drug resistant Gram negative bacilli (MDR-GNB)